A 25 year old man has pigmented macules over the palms, soles and oral mucosa. He also has anemia and abdominal pain. Which one of the following is the most likely diagnosis?
1. Cushing's syndrome
2. Albright's syndrome
3. Peutz-Jegher's Syndrome
4. Incontinentia pigmenti

Correct answer: 3. Peutz-Jegher's Syndrome

Explanation: Cushing Syndrome Presents with lemon on sticks with hypertension and anemia Albright syndrome At least 2 / 3 features: 1. Polyostotic fibrous dysplasia 2. Cafe-au-lait skin pigmentation 3. Autonomous endocrine hyperfunction (eg, gonadotropin-independent) Peutz Jehgers syndrome Located primarily around the nose and mouth, on the hands and feet, and within the oral cavity. Associated with hamartomatous polyps. C/F -anemia, rectal bleeding, abdominal pain, obstruction, and/or intussusception Incontinentia pigmenti Major criteria (1) typical neonatal vasicular rash with eosinophilia (2) typical blaschkoid hyperpigmentation on the trunk fading in adolescence (3) linear, atrophic hairless lesions Minor criteria: (1) dental abnormalities (2) alopecia (3) wooly hair (4) abnormal nails